Vossius ring is seen in -
1. Diabetes Mellitus
2. Galactosemia
3. Blunt trauma
4. Retinoblastoma

Correct answer: 3. Blunt trauma

Explanation: Ans. is 'c' i.e., Blunt trauma DiseaseCataractMyotonic DystophyChristmas tree cataractWilson's disease, chalcosisSunflower cataractDM, Down's SyndromeSnowflake cataractAtopic dermatitisBlue dot cortical cataract, posterior subcapsular cataractCongenital rubellaNuclear cataractGalactosemiaOil drop cataractComplicated cataract (Iridocyclitis, High myopia)Posterior cortical breads's crumb appearance Polychromatic lusture / Rainbow cataractBlunt traumaVossius ring on anterior surface of lens Rosette shaped cataract